Which of the following measures The amount of fetal blood entering maternal circulation:
1. Kleihauer - Betke test
2. Singers test
3. APT test
4. Benedict test

Correct answer: 1. Kleihauer - Betke test

Explanation: To know the exact amount of blood in maternal circulation,KLEIHAUER - BETKE test (acid elusion test)is done which is a quantitative test To distinguish between maternal and fetal blood in cases of vasa previa APT TEST is done which is a qualitative test. Benedict test is used for checking reducing sugars in the urine